Radiological examination of women with foot pain reveals Maon's neuroma. What is the most likely site of the lesion
1. Between first and second metatarsophalangeal joint
2. Between second and third metatarsophalangeal joints
3. Between third and fourth metatarsophalangeal joints
4. Between fourth and fifth metatarsophalangeal joints

Correct answer: 3. Between third and fourth metatarsophalangeal joints

Explanation: Maon's neuroma involves compression of anastomosing branch that connects medial and lateral plantar nerves between the third and fourth metatarsophalangeal joints. The pain may be severe. Women are affected 10 times more likely than men due to wearing different type of shoes, and causing excessive pressure on forefoot. In 80%of cases pain is eased with different shoes and cortisone injections. Ref: Gray's Anatomy The Anatomical Basics of Clinical Practice 41 e pg 1447.